In hepato-renal syndrome, best therapy is
1. Renal transplantation
2. Liver transplantation
3. Transjugular intrahepatic portosystemic shunt
4. Dialysis

Correct answer: 2. Liver transplantation

Explanation: Patients with hepatorenal syndrome (HRS) are treated with midodrine, an a-agonist, along with octreotide and intravenous albumin. The best therapy for HRS is liver transplantation; recovery of renal function is typical in this setting.Ref: Harrison 19e pg: 2066